Triangle of Koch is the landmark for :
1. SA node
2. Bundle of His
3. AV node
4. Purkinje fibres

Correct answer: 3. AV node

Explanation: Triangle of KochTriangular area in right atrium- Marks the site of AV NODEBoundaries- Anterior : Base of septal leaflet of tricuspid valve- Posterior : Anteromedial margin of opening of coronary sinus- Superiorly : Tendon of Todaro